Double bleb sign in USg are depictive of:
1. Intrauterine two gestations sac
2. Amniotic sac and yolk sac
3. Ectopic pregnancy
4. Heterotopic pregnancy

Correct answer: 2. Amniotic sac and yolk sac

Explanation: Double bleb sign : Visualization of gestational sac containing a yolk sac and amniotic sac giving an appearance of two small bubbles . Feature of an intrauterine pregnancy. Distinguishes a pregnancy from a pseudogestational sac or decidual cast cyst. Ref:Williams 24e pg 170.